Corrosion product of high copper amalgam
1. SnO
2. SnHg
3. Sn-O Cl
4. Cu-sn

Correct answer: 1. SnO